A patient presented with scaly, hypopigmented and irregular macules on trunk and proximal extremities. Such a case is best treated with:
1. Amphotericin B
2. Itraconazole
3. Ciprofloxacin
4. Dapsone

Correct answer: 2. Itraconazole

Explanation: Ans. B i.e. Itraconazole The presentation is suggestive of pityriasis/ tinea versicolor Tinea Dermatophyte: Parasitic fungus/mycosis, that infects the skin It involve the imperfect fungi of the genera (epidermophyton, microsporum, trichophyton) Dermatophyte are anamorphic (asexual/ imperfect) Dermatophytes causes infection of skin, hair and nails due to their ability to obtain nutrients from keratinized material Athlete's foot/ Tinea pedis presents as (Does not affect only athletes): - Severe itching - Hyperhydrosis Onycho-mycosis/Tinea unguum/Ringworm of the nail affects: Nail plate Dhobi itch or jock itch is also known as: Tinea cruris Tinea versicolor/versatile colour Caused by Malassezia furfur (Dimorphic, lipophilic organism) - Griseofulvin is ineffective (Ketoconazole and Itraconazole are systemic therapy)